Which of the following is not a seronegative spondyloardthropathy?
1. Psoriatic arthritis
2. ankylosing spondylitis
3. RA
4. Reiters arthritis

Correct answer: 3. RA

Explanation: Seronegative spondyloarthropathies (SpA) are a family of rheumatologic disorders that classically include: Ankylosing spondylitis (AS) Psoriatic arthritis (PsA) Inflammatory bowel disease (IBD) associated arthritis.Seronegative spondyloarthropathies (seronegative spondyloarthritides) share certain clinical characteristics (eg, back pain, uveitis, GI symptoms, rashes). Some are strongly associated with the HLA-B27 allele. Rheumatoid factor (RF) is usually negative in the spondyloarthropathies (hence, why they are called seronegative spondyloarthropathies)